Which of the following protein chain pairs represent fetal hemoglobin?
1. a2b2
2. a2e2
3. a2U2
4. a2d2

Correct answer: 3. a2U2

Explanation: Ans. is 'c' i.e., a2U2 * Different hemoglobins (depending upon there polypeptide chains) are # HbA or adult hemoglobin (a2b2), # HbF or fetal hemoglobin (a2g2), # HbA2 or minor adult hemoglobin (a2d2), # Gower-1 ( zeta 2 epsilon 2), # Gower-2 (a2e2) # Portland (z2g2)